Verapamil is contraindicated in:
1. Hypertesion
2. Complete heart block
3. Paroxysmal supraventricular tachycardia
4. Angina pectoris

Correct answer: 2. Complete heart block

Explanation: Verapamil decreases the force of contraction, decreases heart rate, depresses SA node and slows down AV conduction.so, not used in complete heart block. CCBs and beta blockers have the synergistic effect They are individually or combined contraindicated in complete heart block Beta blockers are also contraindicated in complete heart block. REF.Essentials of Pharmacology KD Tripathi 8th ed.